All the following nuclei are seen on the floor of fourth ventricle except
1. Facial nucleus
2. Dorsal vagal nuclei
3. Hypoglossal nucleus
4. Abducens nucleus

Correct answer: 1. Facial nucleus

Explanation: Facial nuclei are not seen on the floor of fourth ventricle. Cranial nerve nuclei underneath the floor of 4the ventricle are: Abducent nucleus Vestibular nuclei Hypoglossal nucleus Dorsal nucleus of Vagus Nuclei of 9 and 11 cranial nerves (Ref: Vishram Singh textbook of clinical neuroanatomy, second edition pg 122, also refer table 10.3)